Features of hypovolemic shock are all except ?
1. Oliguria
2. Bradycardia
3. Low B.P
4. Acidosis

Correct answer: 2. Bradycardia

Explanation: Ans. is 'b' i.e., Bradycardia